Ectopic bruise is most commonly seen in -
1. Leg
2. Eye
3. Pinna
4. Scalp

Correct answer: 2. Eye

Explanation: the synopsis for forensic medicine & toxicology , Dr .k.s.narayan reddy ,28th edition Page no. 107 Bruises do not always appear on the site of impact .blood escaping from deep torn vessels may be prevented from reaching the skin at the point of impact because the facial plane arrangements at the injured area .the bruise may appear at a relatively distant place ,where the fascial pattern permits it to reach the surface ( ECTOPIC BRUISING OR PERCOLATED CONTUSION ) . eg. - 1) spectacle hematoma ;black eye ( hemorrhage in the soft tissue around the eyes & in the eyelids (a) punch in the eye (direct ) ,(b) blunt impact to the forehead ,the blood gravitating downward over supra orbital bridge ,(c) fracture of the floor of the anterior fossa of the skull . 2) in fracture of jaw ,bruice appear in the neck . 3) a bruise behind the ear may indicate a basal fracture ,rather than a direct blow behind the ear ( battle 's sign) 4)in fracture of pelvis ,a bruise appear on the thigh . 5)in fracture of femur a bruise appear on the outer side of the lower part of the thigh . 6) a kick on the calf of the leg may appear as a bruise around the ankle . Hence it can be said that the ectopic bruising are most commonly seen in eyes.